In pregnancy, calculation of EDD (expected date of delivery) considers:
1. First day of last menstruation
2. Last day of last menstruation period
3. Mid time of last menstrual period
4. Day of coitus

Correct answer: 1. First day of last menstruation

Explanation: Ans. A i.e. First day of last menstruation